Sudden loss of vision is seen in all except?
1. Central retinal artery occlusion
2. Retinal detachment
3. Open angle glaucoma
4. Vitreous hemorrhage

Correct answer: 3. Open angle glaucoma

Explanation: Ans. is 'c' i.e., Open angle glaucoma Sudden GradualPainfulPainlessPainfulPainless* Acute congestive (angle closure) glaucoma* Acute iridocyclitis (uveitis)* Chemical & mechanical injury to eyeball* Endophthalmitis* Optic neuritis* Macular edema* CRAO (central retinal artery occlusion)* CRVO (central retinal vein occlusion)* Central serous retinopathy* Retinal detachment* Exudative Age Related Macular Degereration (ARMD)* Vitreous & retinal haemorrhage* Methyl alcohol amblyopia* Subluxation or dislocation of lens* Corneal ulceration* Chronic simple glacouma* Chronic ridocyclitis (uveitis)* Progressive pterygium* Corneal dystrophy* Corneal degeneration* Cataract (development & senile)* Chorioretinal degeneration* Dry type- Age related macular degeneration (ARMD)* Diabetic retinopathy* Refractive errors* Presbyopia